4 components of RCH elaborated -
1. Prevention of STD
2. Family planning
3. Child survival
4. All

Correct answer: 4. All

Explanation: Ans. is 'd' i.e., All o 4 components of RCH programme are (i) Family planning; (ii) Child survival and safe motherhood: (iii) Client approach to health care, and fiv) Prevention of RTT/STD/AIDS.Reproductive and Child health Programmeo RCH programme was launched in October 1997.o Reproductive and child health approach has been defined as : -People have the ability to reproduce and regulate their fertility'.Women are able to go through pregnancy and child birth safety.The Outcome of pregnancies is successful in terms of maternal and infant survival and well being.Couples are able to have sexual relations free of fear of pregnancy and of contracting disease,o RCH phase I programme incorporated the following components.Family planningChild Survival and safe Motherhood componentClient approach to health carePrevention/Managementof RTT/STDAIDSRCH-Phase IIo RCH - phase II began from 1st April, 2005.o The focus of the programme is to reduce maternal and child morbidity and mortality' with emphasis on rural health care.o The major strategies are: -1. Essential obstetric careInstitutional deliverySkilled attendance at delivery'Emergency obstetric careOperationalising first Referral units.Operationalising PHCs and CHCs for round the clock delivery' sen-ices.Strengthening the referral system